Figure of 8 in Chest X-ray is seen in
1. TAP VC .
2. Tetrology of Fallot
3. Transposition of great vessels
4. Ebsteins' anomaly

Correct answer: 1. TAP VC .

Explanation: Ans. is 'a' i.e. TAPVC TAPVC (Total anomalous pulmonary venous connection) is of two types-Non-obstructive type andObstructive typeX-rav features ofNon obstructive type TAPVCCardiomegaly with plethoric lung fields*Snowman or figure of 8'appearance*Obstructive type TAPVCNormal sized heartGround glass appearance of lung due to severe pulmonary venous hypertension *